The first step in fatty acid synthesis involves:
1. Acetyl-CoA carboxylase
2. Hydroxyl-CoA dehydrogenase
3. Acetyl dehydrogenase
4. Pyruvate kinase

Correct answer: 1. Acetyl-CoA carboxylase

Explanation: Ans. A. Acetyl-CoA carboxylase(Ref Harper 31/e page 217)Fatty Acid SynthesisBy two enzyme system1. Acetyl-CoA carboxylase2. Fatty acid synthase complexAcetyl-CoA CarboxylaseConverts acetyl-CoA (2C) to malonyl-CoA in the presence of ATP.Acetyl-CoA carboxylase has a requirement for the B vitamin biotin.It is a multienzyme protein.This is the rate limiting stepQ in the fatty acid synthesis.Acetyl-CoA carboxylase is not a part FAS ComplexQ.